Most common cause of death in EBV?
1. Splenic abscess
2. Meningo-encephalitis
3. Fulminant hepatitis
4. Auto-immune haemolytic anemia

Correct answer: 2. Meningo-encephalitis

Explanation: Most cases of Infectious Mononucleosis are self-limited. Deaths are very rare and most often are due to central nervous system (CNS) complications, splenic rupture, upper airway obstruction, or bacterial superinfection.